All of the following are risk factors for renal toxicity caused by aminoglycosides EXCEPT :
1. Elderly patient
2. Hypokalemia
3. Simultaneous use of penicillin
4. Aminoglycoside administration in recent past

Correct answer: 3. Simultaneous use of penicillin